Two weeks after an injury to his right eye, a boy presents with bilateral pain and redness, most probable diagnosis is :
1. Sympathetic opthalmitis
2. Endopthalmitis
3. Optic neuritis
4. Glaucoma

Correct answer: 1. Sympathetic opthalmitis

Explanation: A i.e. Sympathetic ophthalmitis